All are true about sportsman hernia except
1. Has inguinal pain
2. Sac is palpable
3. IOC is MRI
4. Laparoscopic inguinal hernia surgery

Correct answer: 2. Sac is palpable

Explanation: In sportsman hernia, sac is not pulpabic.